Epilepsia partialis continua is present in
1. Japanese encephalitis
2. Rasmussen's encephalitis
3. Tuberculosis meningitis
4. None of the above

Correct answer: 2. Rasmussen's encephalitis

Explanation: (B) Rasmussen's encephalitis # Epilepsia Partialis Continua Epilepsia partialis continua can be defined as a form of partial status epilepticus with simple motor manifestations that are maintained for over 1 hour, with clonic activity restricted to one body part and recurring at fairly regular intervals not responding fairly to medications. The unique clinical features of EPC are likely to reflect its anatomical location rather than its etiology. Idiopathic causes of EPC: Rasmussen chronic encephalitis Autoimmune Multiple sclerosis Anti-GluR3 or Anti-NMDA-GluR-Epsilon2 antibodies Genetic Alpers disease Kufs disease Leigh syndrome and cytochrome C oxidase deficiency Nicotinamide adenine dinucleotide (NADH) coenzyme Q reductase deficiency Mitochondrial cytopathies including mitochondrial encephalopathy with lactic acidosis and stroke (MELAS)